True about Neisseria gonorrhoea
1. Kidney shaped
2. Isolated in PIKE's medium
3. Not transmitted through sexual contact
4. Protein II is useful for typing

Correct answer: 1. Kidney shaped

Explanation: In smears from the urethral discharge in acute gonorrhea, the organism appears as diplococcus with the adjacent sides concave, being typically kidney-shaped Ref: Textbook of microbiology; Ananthanarayan and paniker's; 10th Edition; Pg:234